Dorsal surface of pons is related with?
1. Trochlear nucleus
2. Motor nucleus of vagus
3. Hypoglossal
4. Facial

Correct answer: 4. Facial

Explanation: The pons can be broadly divided into two parts: the basilar part of the pons(ventral) and the pontine tegmentum( dorsal)The pontine tegmentum contains nuclei of the cranial nerves -5,6,7,8 and their associated fibre tracts, the pontine reticular formation, the mesopontine cholinergic system, the laterodorsal tegmental nucleus, and the respiratory centres - the pneumotaxic centre and the apneustic centre.Trochlear nucleus is in the midbrain whereas hypoglossal and vagal nuclei in the medulla.(Reference: vishram Singh textbook of clinical neuroanatomy second edition pg 80)